Odds ratio is related to:
1. Incidence
2. Relative risk
3. Attributable risk
4. Prevalence

Correct answer: 2. Relative risk

Explanation: Relative risk